Spring ligament consists of all EXCEPT:
1. Plantar Calcaneocuboid Ligament
2. Plantar Calcaneonavicular Ligament
3. Medial Calcaneonavicular Ligament
4. Lateral Calcaneonavicular Ligament

Correct answer: 1. Plantar Calcaneocuboid Ligament

Explanation: Spring (Calcaneo-Navicular) Ligament attaches calcaneum to Navicular bone (and not cuboid). It is made up of two distinct structures: the Superomedial Calcaneonavicular portion and the Inferolateral Calcaneonavicular portion.